Onion skin lesion in vessels is seen in -
1. Malignant hypertension
2. Benign hypertension
3. Peripheral vascular disease
4. None

Correct answer: 1. Malignant hypertension

Explanation: Ans. is 'a' i.e., Malignant hypertension o In malignant hypertension, there is concentric laminated thickening of arteriolar wall, onion skinning.Vascular pathology in .HypertensionHypertension is associated with two forms of small blood vessels disease -Hyaline arteriolosclerosiso There is homogenous, pink, hyaline thickening of arteriolar wall,o The lumen becomes narrow,o It is characteristic of benign hypertension,o It may also occur in diabetes and aging.Hyperplastic arteriosclerosiso It is characteristic of malignant hypertension.o There is concentrentic, laminated thickening of arteriolar wall - onion skinning,o There is mucinous intimal thickening and fibrous intimal thickening.o There may be accompanied fibrinoid deposits with necrosis of the vessels wall - fibrinoid necrosis.